Nikolsky sign is positive in all of the following except:
1. Staphylococcal scalded skin syndrome
2. Toxic epidermonecrolysis
3. Bullous pemphigoid
4. Pemphigus

Correct answer: 3. Bullous pemphigoid

Explanation: C. i.e. Bullous pemphigoid